Double bubble sign seen in :
1. Duodenal atresia
2. Duodenal stenosis
3. Volvulus
4. All

Correct answer: 4. All

Explanation: Ans. is 'a', 'b' & 'c' i.e. Duodenal atresia, Duodenal stenosis and Volvulus